Which of the following mixture of anesthetics is applied on skin?
1. Lidocaine and prilocaine
2. Bupivacaine and prilocaine
3. Lidocaine and bupivacaine
4. Lidocaine and procaine

Correct answer: 1. Lidocaine and prilocaine

Explanation: Ans is 'a' i.e. Lidocaine and prilocaine Eutectic mixture of local Anaesthetics (EMLA)* This is unique topical preparation which can anaesthetize intact skin.* It is a mixture of 2.5% lidocaine and 2.5% prilocaine.* It acts slowly and the cream must held in contact with skin for at least 1 hour.* EMLA is used : to make venepuncture painless especially in children, and for procedure like skin grafting & circumcision.* As systemic absorption of prilocaine can cause methemoglobinemia, EMLA should not be used on mucocutaneous membrane or in very small child.